Erythema chronicum migrans is caused by?
1. Borrelia japonica
2. Borrelia andersonii
3. Borrelia burgdorferi
4. Borrelia recurrentis

Correct answer: 3. Borrelia burgdorferi

Explanation: Erythema chronicum migrans is a rash often seen in the early stages of Lyme disease. It is caused by the spirochete Borrelia burgdorferi. Lyme disease is a zoonosis which is spread to humans by tick bite The rash appears a few days after the tick bite